cat acts as reservoir in the following ?
1. toxoplasma gondii
2. rabies
3. streptocerca infection
4. plague

Correct answer: 1. toxoplasma gondii

Explanation: Toxoplasma gondii * Worldwide * Zoonotic parasite; Toxoplasma is an opportunistic pathogen. * Infects animals, cattle, birds, rodents, pigs, and sheep. * and humans. * Causes the disease Toxoplasmosis. * Toxoplasmosis is leading cause of abortion in sheep and goats. * Intracellular parasite. * Final host (Felidae family, cat) * Intermediate host (mammals ) Toxoplasmosis 1. All parasite stages are infectious. 2. Risking group: Pregnant women, meat handlers (food preparation) or anyone who eats the raw meat ref : ananthanaryana 9rh ed